All of the following factors are responsible for resurgence of malaria, Except -
1. Drug Resistance in Parasite
2. Insecticide Resistance in vectors
3. Antigenic mutations in parasite
4. Use of bed nets

Correct answer: 4. Use of bed nets

Explanation: Resurgence of Malaria in India has occurred due to Drug resistance Vector resistance Mutation in Parasite Use of bed-nets (primary level of prevention) is in fact likely to reduce incidence of malaria Ref: Park 22th edition Pgno : 716-718